Crural index is
1. Length of tibia/femur x 100
2. Length of radius/humerus x 100
3. Length of fibula/tibia x 100
4. Length of radius/ulna x 100

Correct answer: 1. Length of tibia/femur x 100

Explanation: Ans. is 'a' i.e., Length of tibia/femur x 100 Race determination of skeletonA) Cephalic Index (Cl)# Cephalic index is defined as the index of breadth of skullCephalic index =Max. breadth of skull--------------------Max. AP length of skullx 100# Based of cephalic index races are clasified into following three1) Dolichocephalic (longheaded): Cephalic index is 70-75 and is a feature of Caucasions, PureAryan (Indians), Aborigines, and Negroes.2) Mesaticephalic (medium headed): Cephalic index is 75-80 and is a feature of Europeans, and Chinese.3) Brachycephalic (short headed): Cephalic index is more than 80 and is a feature of MongolianB) Brachial Index# Brachial index is defined asBrachial index =Lenght of radius----------------Lenght of humerusx 100# Brachial index is 74.5 in Europeans and 78.5 in Negroes.C) Crural index# It is defined asCrural index =Lenght of tibia------------Lenght of femurx 100# Crural index is 83.3 in Europeans and 86.2 in Negroes.D) Humero-femoral index (HF index)# It is defined asHumero-femoral index =Lenght of humerus----------------Lenght of femurx 100# It is 69 in Europeans and 72.4 in Negroes.E) Intermembral index# It isIntermembral index =Lenght of radius + humerus------------------------Lenght of tibia + femurx 100# It is almost same (70) in Europeans and Negroes.F) Orbit# It is square in Pure Aryans (Indians), Negroes, and Arborigines. It is triangular in Chinese and Europeans. It is 'rounded' in Mongols.G) Nasal opening# It is broad in Pure Aryans (Indians), Negroes, and Arborigines. It is narrow and elongated in Chinese and Europeans. It is 'rounded' in Mongols.H) Palate# Palate is rectangular in Pure Aryans (Indians), Negroes, and Arborigines. It is triangular in Chinese and Europeans. It is rounded (or horse shoe shaped) in Mongols.